Length of Posterior vaginal wall is -
1. Variable
2. Same as anterior vaginal wall
3. Less than anterior vaginal wall
4. More than anterior vaginal wall

Correct answer: 4. More than anterior vaginal wall

Explanation: Ans. is 'd' i.e., More than anterior vaginal wall o The anterior wall is about 8 cm long and the posterior wall is about 10 cm long.Vaginao The vagins is a fibromuscular, canal forming the female copulatory organ,o It extends from vulva to uterus.o Mucous membrane is lined by non keratinized stratified squamous epithelium.o The anterior wall is about 8 cm long and the posterior wall is about 10 cm long,o The lumen is circular at the upper end because of the protrusion of the cervix into it.o Below the cervix, anterior and posterior walls are in contact.o The interior of the upper end of the vagina (or vaginal vault) is in the form of a circular groove that surrounds the protrudng cervix.o The groove becomes progressively deeper form before backwards and is arbitrarily divided into four parts called the v aginal fornices:y Anterior fornix lies in front of the cervix and is shallowest.Posterior fornix lies behind the cervix and is deepest.Two lateral fornices lie one on each side of the cervix. Lateral fornix is related to the transverse cervical ligament of pelvic fascia in which are embedded a network of vaginal vein and the ureter gets crossed by the uterine artery.